All of the following interaction occurs between antigen and antibody Except
1. Ionic bond
2. Covalent bond
3. Hydrogen bond
4. Vanderwalls forces

Correct answer: 2. Covalent bond

Explanation: The primary stage reaction of antigen and antibody is reversible ,this combination being affected by weaker molecular forces like vanderwaal's forces,ionic bonds,and hydrogen bonding, rather than by the firmer covalent bonding. Ref: anantnarayan and panikers 10th edition